Scintiscan is taken by injecting:
1. Ethidiol
2. Tc- Pertechnetate
3. Sinograffin
4. Any of the above

Correct answer: 2. Tc- Pertechnetate

Explanation: Salivary scan (scintiscan) is taken by injecting Tc – Pertechnetate intravenously. Salivary scan is usually contraindicated in acute inflammatory cases.